Deep skin burns is treated with -
1. Split thickness graft
2. Full thickness graft
3. Amniotic membrane
4. Synthetic skin derivatives

Correct answer: 1. Split thickness graft